A 4 years old child presented with generalized edema and ascites. There was no hypertension or hematuria. Renal function tests were normal. Urinalysis revealed massive proteinuria. Most probable underlying cause is:
1. Membranous glomerulonephritis
2. Minimal change disease
3. Post streptococcal glomerulonephritis
4. IgA nephropathy

Correct answer: 2. Minimal change disease

Explanation: Ans b. Minimal change diseaseGeneralized edema in a child with massive proteinuria, with no hypertension or hematuria & normal renal function suggests a diagnosis of Nephrotic syndrome due to minimal change disease;